Keroin is caused by
1. Candida
2. Streptococcus
3. Dermatophytes
4. Herpes

Correct answer: 3. Dermatophytes

Explanation: kerion - severe boggy lesions with a marked inflammatory reaction that sometimes develops in scalp infection due to dermatophytes. Reference: Textbook of Microbiology; Baveja; 4th edition